Which is the most common infection in a transplant patient after 3-4 months? In renal transplant recipients, which is the likely organism causing reactivation disease within 3-4 months after surgery?
1. HSV
2. CMV
3. EBV
4. VZV

Correct answer: 2. CMV

Explanation: The risk of viral infection is highest during first 6 months after transplantation and most common is CMV infection. CMV disease may arise because of either reactivation of latent infection or primary infection that can be transmitted by an organ from a CMV positive donor